Which of the following is not a risk factor for a woman to develop gestational diabetes?
1. Previous macrosomic baby
2. Previous history of gestational diabetes
3. Both parents have diabetes
4. Working mother

Correct answer: 4. Working mother

Explanation: GDM risk assessment: should be ascertained at the first prenatal visitLow-RiskMember of an ethnic group with a low prevalence of GDMNo known diabetes in first-degree relativesAge <25 yearsWeight normal before pregnancyWeight normal at birthNo history of abnormal glucose metabolismNo history of poor obstetrical outcomeHigh-RiskSevere obesityStrong family history of type 2 diabetesPrevious history of GDM, macrosomic baby, impaired glucose metabolism, or glucosuriaReference: William's obstetrics; 25th edition; Chapter 57; Diabetes